In traumatic cases, shock is most likely due to:
1. Injury to intra abdominal solid organ
2. Head injury
3. Septicemia
4. Cardiac failure

Correct answer: 1. Injury to intra abdominal solid organ

Explanation: Ans. A: Injury to intra abdominal solid organ